Anticentromere antibodies are most commonly associated with-
1. Diffuse cutaneous systemic sclerosis
2. Mixed connective tissue disease
3. CREST syndrome
4. Polymyositis

Correct answer: 3. CREST syndrome

Explanation: CREST syndrome, also known as the limited cutaneous form of systemic sclerosis (lcSSc) is a multisystem connective tissue disorder. The acronym "CREST" refers to the five main features: calcinosis, Raynaud's phenomenon, esophageal dysmotility, sclerodactyly, and telangiectasia. It is associated with detectable antibodies against centromeres (a component of the cell nucleus), and usually spares the kidneys (a feature more common in the related condition systemic scleroderma). If the lungs are involved, it is usually in the form of pulmonary arterial hypertension.